Prader-Wili syndrome includes the following except-
1. Congenital hypotonia
2. Obesity and hyperphagia
3. Intellectual disability
4. Cafe-au lait spots

Correct answer: 4. Cafe-au lait spots

Explanation: Robbins basic pathology. 6th edition. chapter 6 genetic disorders. page no.180 prader willi syndrome is characterised by intellectual disability,short stature,hypotonia,obesity,small hands and feet, and hypogonadism. so the answer ia option 4. In all cases deletions affects the paternally derived chromosome no.15.